N Acetyl Cysteine replenishes:
1. Glutathione
2. Glycine
3. Glutamate
4. GABA

Correct answer: 1. Glutathione

Explanation: Ans. A. GlutathioneThe active part of both Glutathione and N Acetyl Cysteine is Sulfhydryl group of Cysteine. So N Acetyl Cysteine replenishes Glutathione.